Low serum copper is seen in all Except
1. Aceruloplasminemia
2. Menke disease
3. Wilson disease
4. Primary biliary cirrhosis

Correct answer: 4. Primary biliary cirrhosis

Explanation: In primary biliary cirrhosis (PBC) liver copper retention occurs as a complication of cholestasis. Fifty-four had increased liver copper concentrations. Liver cell synthetic function was well preserved. All the patients had normal prothrombin times, and only two had subnormal serum albumin concentrations. Ref Davidson 23rd edition pg 344